The only Species of Shigella that produces exotoxin
1. Shigella sonnei
2. Shigella flexneri
3. Shigella boydii
4. Shigella dysenteriae

Correct answer: 4. Shigella dysenteriae